Damage to the coracobrachialis muscle and to the nerve passing through it could reasonably be expected to produce all of the following, EXCEPT:
1. Weakened flexion at the elbow
2. Weakened flexion at the shoulder
3. Weakened supination of the forearm
4. Diminished cutaneous sensation over the lateral palm

Correct answer: 4. Diminished cutaneous sensation over the lateral palm

Explanation: The musculocutaneous nerve passes through the coracobrachialis and continues distally between the biceps brachii and brachialis muscles. It supplies all three muscles. Injury to the nerve will affect flexion at the shoulder (coraco brachialis and biceps brachii), flexion at the elbow (brachialis and biceps brachii), and supination of the forearm (biceps brachii). At the elbow it continues as the lateral cutaneous nerve of the forearm and has no distribution to the hand. Ref: Moon D.A., Foreman K.B., Albeine K.H. (2011). Chapter 31. Arm. In D.A. Moon, K.B. Foreman, K.H. Albeine (Eds), The Big Picture: Gross Anatomy